Lymphatic leukemoid reaction is usually seen in the following except
1. Tuberculosis
2. Pertussis
3. Lobar Pneumonia
4. Viral infections

Correct answer: 3. Lobar Pneumonia